Two viral vaccines are expected to reduce the incidence of cancers. Which vaccines are these?
1. Adenovirus and mumps virus vaccines
2. HAV and poliovirus vaccines
3. HPV 16/18 and hepatitis B vaccines
4. Measles virus and rubella virus vaccines

Correct answer: 3. HPV 16/18 and hepatitis B vaccines

Explanation: HPV 16/18 and HBV (c) are implicated in cervical (and other genital) cancer and hepatocellular carcinoma, respectively. Thus, the vaccines against these agents are expected to reduce the incidence of these cancers. This has been seen in regions of the world where routine HBV vaccine is used at birth or shortly thereafter. The other vi ruses-adenovirus/mumps virus (a), HAV/poliovirus (b), measles virus/rubella virus (d), and rotavirus/VZV (e)-are not associated with cancers in humans, although adenoviruses cause cancer in some animals.